Characteristic of incised wound are all except -
1. Length of wound not correlated with weapon
2. Bleeding less than laceration
3. Hesitation cuts seen
4. Clean cut edges

Correct answer: 2. Bleeding less than laceration

Explanation: The synopsis of forensic medicine & toxicology ; Dr k.s narayan reddy ; 28th edition ; Pg.no. 112 As the vessels are cut cleanly, bleeding is more . spurting of blood occurs if an artery is cut .